Following features may be seen in cold injury of neonates except -
1. Bradycardia
2. Uncontrolled shivering
3. Scleroma
4. Metabolic acidosis

Correct answer: 2. Uncontrolled shivering

Explanation: Ans. is 'b' i.e., Uncontrolled Shivering "Neonates Respond by Non-shivering thrmogenesis".